Tissue stops in impression tray aids in
1. Anterior posterior stabilization
2. Better acrylic flow
3. Proper retention
4. All of the above

Correct answer: 1. Anterior posterior stabilization